A new born boy is having lumbosacral meningomyelocele and awaiting the surgical repair. The sac is best protected with sterile gauze piece soaked with
1. Mercurochrome
2. Tincture benzoin
3. Methylene blue
4. Normal saline

Correct answer: 4. Normal saline

Explanation: Ans. (d) Normal salineRef: Bailey & Love 26th ed. / 482-83The first step in the management of a newborn with myelomeningocele is a careful clinical assessment followed by open defects which should be covered with a saline-moistened non-adherent dressing to prevent injury to and dessication of the neural placode.